Treatment of choice in recurrent epistaxis in a patient with hereditary hemotelangietasis:
1. anterior Ethmoidal artery ligation
2. Septal dermatoplasty
3. External carotid artery ligation
4. Interna carotid artery ligation

Correct answer: 2. Septal dermatoplasty

Explanation: Septal dermoplasty- Heriditary hemotelangietasia or osler weber rendu disease is an autosomal dominant condition affecting blood vessels in the skin mucous membranes and viscera Treatment- Septal dermoplasty. Ref Dhingra 6/e,p 180.